'Coral red' color on Wood's lamp is seen in
1. Erythrasma
2. Tuberous sclerosis
3. Pityriasis rosae
4. Tinea corporis

Correct answer: 1. Erythrasma

Explanation: Ans. a (Erythrasma) (Ref. Harrison 18th/ p 289)D/D of erythrasma1ConditionOrganismSymptoms/MorphologyDiagnosisTreatment2ErythrasmaCorynebacteriumminutissimumOften asymptomatic+/- pruritus+ intertriginous areasWoods's light shows coral-red fluorescenceTopical: erythromycin 2%, clindamycin 1% or keratolytic agentsOral: erythromycin or clarithromycinIntertrigoCandida albicansErythematous pustules, papules and/or plaques +/- satellite lesions at periphery +pruritus + pain/tenderness +intertriginous areasKOH examination shows septate hyphae and pseudohyphaeTopical: allylamines, azoles, ciclopirox, nystatinOral: azolesTinea corporisEpidermophyton species,Microsporum species,Trichophyton speciesAnnular scaly erythematous plaques often with central clearingKOH examination shows segmented hyphaeTopicals: allylamines, azoles, ciclopiroxOral: azoles, griseofulvin, terbinafine hcl1Abbreviations: KOH, 10% potassium hydroxide preparation; +, present; not present.2This is only a partial therapeutic agentsWOOD'S LIGHT# A Wood's lamp generates 360-nm ultraviolet (or "black") light that can be used to aid the evaluation of certain skin disorders. (MHSSCET 2009)# Normally the skin does not fluorosence or shine under ultraviolet light.The different infections and conditions showing different colors are:DiseaseColor on Wood's Lamp (360 nm uV light used)1Erythrasma (Corynebacterium minutissimum)Coral red color2Tinea versicolorGolden yellow3Tinea capitis (Microsporum canis or M. audouini)Yellow fluorescence4Trichophyton schoenleiniPale green5Microsporum audouinii or M. canisYellow fluorescence6Pseudomonas aeruginosaPale blue/ Aquagreen1Tuberous sclerosisAsh-leaf-shaped spot8Porphyria cutanea tardaPink to pink-orange9LeprosyBlue white10HypopigmentationPale white11HyperpigmentationPurple brown12Depigmentation - VitiligoTotally white13AlbinismBright white14Pigmented lesions of the epidermis such as frecklesAre accentuated under a Wood's light15dermal pigment such as postinflammatory hyperpigmentationFades under a Wood's lightAdditional Educational points:Q. Ans.1"White dermographism"=>Atopic dermatitis2Dennie's line (extra fold of skin beneath lower eyelid) & perioral pallor=>Atopic dermatitis3"Winter itch,"=>Asteatotic eczema4"Cradle cap"=>Seborrheic dermatitis5"Fir tree"-like appearance=>Pityriasis rosea6Interface dermatitis, Wickham's striae=>Lichen planus7"Spaghetti and meatballs" KOH preparation=>Malassezia furfur